Minimum number of people for group discussion are?
1. 8
2. 6
3. 4
4. 5

Correct answer: 2. 6

Explanation: - “For effective group discussion, the group should compromise not less than 6 and more than 12 members.”